Key issues and major changes in the 2010 AHA Guidelines for CPR for lay rescuer in adult C 'R include all of the following Except:
1. Change in CPR Sequence: C-A-B Rather than AB-C
2. Emphasis on "Look, Listen, and Feel' for Breathing
3. Chest Compression Rate: At Least 100 per Minute
4. Chest Compression Depth to at least 2 inches (5 cm).

Correct answer: 2. Emphasis on "Look, Listen, and Feel' for Breathing

Explanation: Answer is B (Emphasis on "Look, Listen, and Feel' for Breathing) According to the new 2010 AHA Guidelines "Look, listen, and feel" has been removed from the CPR sequence. Key issues and major changes in the 2010 AHA Guidelines for CPR for lay rescuer in adult CPR include: (Emphasis on Chest Compressions) Change in CPR Sequence to C-A-B Rather than A-B-C Chest Compression Rate of at least 100 per Minute Chest Compression Depth to at least 2 inches (5 cm) Elimination of "Look, Listen, and Feel for Breathing"